True about 3rd ventricle is
1. Cavity of rhombencephalon
2. Communicates with lateral ventricle aqueduct of sylvius
3. Communicates with 4th ventricle foramen of munro
4. Intehalamic adhesions connects lateral walls of 3rd ventricle

Correct answer: 4. Intehalamic adhesions connects lateral walls of 3rd ventricle

Explanation: 3rd ventricleCavity of DiencephalonMedian cleft between 2 thalamic nucleiConnected to lateral ventricle Foramen of munroConnected to 4th ventricle aqueduct of sylviusFloor contains Optic chiasma, mammillary body, Infundibulum (pituitary stalk), Tuber cinereumPosterior wall : Pineal body, posterior commissure and cerebral aqueduct